Which of the following is an inhibitor of dihydrofolate reductase ?
1. Phenytoin
2. Alcohol
3. Methotrexate
4. Yeast

Correct answer: 3. Methotrexate

Explanation: Ans. is 'c' i.e., Methotrexate